For which one of the following has the cytotoxic effect of vitamin on human lymphocytes in vitro at high concentration been reported -
1. Vitamin A
2. Vitamin D
3. Vitamin E
4. Vitamin K

Correct answer: 3. Vitamin E

Explanation: Ans. is 'c' i.e., Vitamin E o Recently the cytotoxic effect of Vitamin Eon human lymphocytes in vitro at high concentrations has been reported. This being sort, caution should he exercised against the mega-dose counsuption of Vtamin E in clinical practice.